Which of the following is the most likely finding in a 79-year-old woman with Parkinson's disease?
1. constant fine tremor
2. muscle atrophy
3. akinesia
4. pupillary constriction

Correct answer: 3. akinesia

Explanation: The characteristic triad in Parkinson's disease (Tremor, Rigidity, Akinesia) has been expanded to include Postural instability. This forms the mnemonic TRAP. Autonomic instability is also common. Findings on examination also include masklike facies, dysarthria, stooped posture, and abnormal gait.